Substrate-level phosphorylation seen in a reaction catalysed in
1. Succinate dehydrogenase
2. Alpha-ketoglutarate dehydrogenase
3. Succinyl CoA thiokinase
4. Malate dehydrogenase

Correct answer: 3. Succinyl CoA thiokinase

Explanation: Substrate level phosphorylation is catalysed by : (i) In glycolysis: Phosphoglycerate kinase, pyruvate kinase; and (ii) In TCA cycle: Succinate thiokinase.